Ureteral tumor occurs most frequently in-
1. Upper 1/3 of ureter
2. Middle 1/3 of ureter
3. Lower 1/3 of ureter
4. Equally along the length of ureter

Correct answer: 3. Lower 1/3 of ureter

Explanation: Cancer of the ureter (ureteral cancer) is a type of cancer that begins in the cells that line the inside of the tubes (ureters) that connect your kidneys to your bladder. Ureters are part of the urinary tract, and they carry urine produced by the kidneys to the bladder. Ureteral cancer is uncommon